Actinomycetes is -
1. Gram positive bacteria
2. Gram negative bacteria
3. Fungus
4. A yeast like from

Correct answer: 1. Gram positive bacteria

Explanation: Ans. is 'a' i.e., Gram positive bacteria